Effective ulcer treatment that works by inhibitory action on gastric acid secretion is -
1. Lactulose
2. Aluminium hydroxide
3. Sucralfate
4. Ranitidine

Correct answer: 4. Ranitidine

Explanation: Ans. is 'd' i.e., Ranitidine o Among the given options, only ranitidine decreases acid secretion.Drugs for peptic ulcer1.Reduce gastric acid secretionH2 antihistaminic - Cimetidine, Ranitidine, Famotidine, Roxatidine.Proton pump inhibitors - Omeprazole, Lansoprazole, Pantoprazole, Rabeprazole, Esomeprazole.Anticholinergics - Pirenzepine, propantheline, oxyphenonium.Prostaglandin analogue - Misoprostol, enprostil, rioprostil.2. Neutralization of gastric acid (antacids)Systemic - Sodium bicarbonate, sodium citrate.Non systemic - Magnesium hydroxide, Mag. trisilicate, aluminium hydroxide, Magaldrate, calcium carbonate.3. UlcerprotectivesSucralfate, colloidal bismuth subcitrate, Prostaglandin analogue.4. Anti H. pylori durgsAmoxicillin, clarithromycin, metronidazole, Tinidazole, tetracycline.Note - PG analogue have both antisecretory (irt HC1 secretion) as well as cytoprotective action.